Recently approved drug for psychosis associated with Parkinsonism is?
1. Lorcaserin
2. Pimavanserin
3. Cycloserine
4. Mianserin

Correct answer: 2. Pimavanserin

Explanation: Pimavanserin An inverse agonist at 5HT2A receptor Approved for psychosis associated parkinsonism